Prion disease is caused by
1. Misfolding of protein
2. Denaturation of Protein
3. Reduced formation of protein
4. Excess formation of protein

Correct answer: 1. Misfolding of protein

Explanation: ref Robbins 9/e p1281 Prion diseases are caused by misfolded forms of the prion protein, also known as PrP. ... The human forms of prion disease are most often the names Creutzfeldt-Jakob disease (CJD), fatal familial insomnia (FFI), Gesmann-Straussler-Scheinker syndrome (GSS), kuru and variably protease-sensitive prionopathy (VPSPr